Which of the following are indications for using an anteroposterior strap type of major connector?
1. Class I and II arches with excellent abutment support
2. Long edentulous spans in class III
3. Inoperable palatal torus that does not extend posteriorly to the junction of the hard and soft palate
4. All of the above

Correct answer: 4. All of the above